Which of the following local anesthetic is metabolized by liver
1. Procaine
2. Cocaine
3. Benzocaine
4. Chlorprocaine

Correct answer: 2. Cocaine

Explanation: All of the above drugs belong to ester group of local anesthetics. All ester are metabolized in plasma except cocaine which is metabolized in liver.